All are the causes of complicated cataract except:
1. Pars planitis
2. Retinitis pigmentosa
3. Retinal detachment
4. Posterior vitreous detachment

Correct answer: 4. Posterior vitreous detachment

Explanation: Ans. Posterior vitreous detachment